Most common psychiatric illness -
1. Depression
2. Bipolar
3. Mania
4. Cyclothymia

Correct answer: 1. Depression

Explanation: Ans. is 'a' i.e., Depressiono Depresson is the most common psychiatric disorder that affect 15% of the population at some time in their lives (Mates - 8-12%; Females -20-25%). Middle aged (25-45 years) females are most commonly affected.o Note : Among the given options, depression is most common. Overall, anxiety disorder is the most common psychiatric illness.